In Ca cervix lymphatic spread involve which of the following lymph node/nodes:a) Obturator LNb) External iliac LNc) Inguinal LNd) Femoral LNe) Hypogastric LN
1. abc
2. bcd
3. abe
4. acd

Correct answer: 3. abe